Alpha block on EEG is seen during which of the folllowing activities?
1. Sleep
2. Seizures
3. Concentrating
4. None of the above

Correct answer: 3. Concentrating

Explanation: When attention is focused on something, the alpha rhythm is replaced by an irregular 13-30 Hz low-voltage activity, the beta rhythm. This phenomenon is called alpha block and can be produced by any form of sensory stimulation or mental concentration, such as solving arithmetic problems. Ref: Ganong's Review of Medical Physiology 23rd edition, Chapter 15.